Another name for oral thrush is -
1. Candidiasis
2. Herpangina
3. Vincent's infection
4. Hand foot and mouth disease

Correct answer: 1. Candidiasis

Explanation: Ans. is 'a' i.e.. Candidiasis Monoliasis (Candidiasis)o It is the fungal infection of the oral cavity. It is caused by Candida albicans and occurs in two forms:Thrusho It manifests as greyish white patches on the oral mucosa and tongue,o When wiped off it leaves an erythematous mucosa.o This is more common in infants and children. Adults suffering fro diabetes, malignancy, taking broad spectrum oral antibiotics, radiation, cytotoxic drugs or steroids can also be affected,o It is treated by topical application of nystatin or clotrimazole.Chronic Hypertrophic Candidiasis (Candidial Leukoplakia)o Appears as a white patch in the oral cavity which cannot be wiped off.o It mostly affects the anterior buccal mucosa just behind the angle of mouth,o It is treated by excision of the lesion.